Which of the following is a set point for term plans but is yet something cannot be quantified or measured –
1. Target
2. Goal
3. Objective
4. Mission

Correct answer: 2. Goal

Explanation: Terms used in Health Planning
Objectives

An objective is a planned end-point of all activities.
It is a precise point. It is either achieved or not achieved.

Target

Target often refers to a discrete activity such as the number of blood films collected or vasectomies done, it permits the concept of degree of achievement.

Goal

A goal is defined as the ultimate desired state towards which objectives are directed.
Goals are not necessarily attainable
Unlike objectives and targets, goals are not constrained by time or existing resources.

Monitoring

Monitoring is the day-to-day follow-up of activities during their implementations to ensure that they are proceeding as planned and are on schedule.

Evaluation

Evaluation measures the degree to which objectives and targets are fulfilled and the quality of results obtained.
The purpose of evaluation is to assess the achievement of the stated objectives of a programme.
While monitoring is confined to day-to-day or on-going operation, evaluation is concerned with the final outcome.